A 30-year -old male from West Bengal presents to you with hyperkeratosis, and transverse nail lines. Most likely cause is
1. Chronic arsenic poisoning
2. Chronic lead poisoning
3. Chronic mercury poisoning
4. Acute arsenic poisoning

Correct answer: 1. Chronic arsenic poisoning

Explanation: A i.e. Chronic arsenic poisoning